Principles of Health education include all except:
1. Participation
2. Motivation
3. Reinforcement
4. Punishment

Correct answer: 4. Punishment

Explanation: Approaches to Health education: Principles of Health education Credibility Interest Participation Motivation Comprehension Reinforcement Learning by doing Known to unknown Setting an example Good human relations Feedback Leaders Ref: Park 25th edition Pgno: 924